Protractor of scapula is?
1. Serratus anterior
2. Rhomboidis major
3. Deltoid
4. Pectoralis major

Correct answer: 1. Serratus anterior

Explanation: Serratus anteriorREF: Gray's anatomy 39th ed p. 829, 830Movements of scapula:MovementMusclesElevationTrapezius and Levator scapularProtractionSerratous anterior and Pectoralis minorRetractionRhomboids and TrapeziusLateral rotationupper trapezius and lower serratousMedial rotationLevator scapulae , Rhomboids and Pectoralis minor